Polymer fume fever is due to:-
1. Burning of Polytetrafluoroethylene
2. Nitrobenzene poisoning
3. Bagging abuse
4. Huffing abuse

Correct answer: 1. Burning of Polytetrafluoroethylene

Explanation: Polymer fume fever results from inhalation of gases produced by burning of polytetrafluoroethylene (Teflon). It is similar in presentation to metal fume fever, with short-term, flu-like symptoms of sore throat, fever, shivering, and weakness. Require only symptomatic treatment.